Pitryiasis versicolor is caused by:
1. Candida
2. Rhinosdporodium
3. Malsezzia
4. Tinea

Correct answer: 3. Malsezzia

Explanation: Malsezzia